"Negri" bodies are seen mostly in:
1. Hippocampus
2. Hypothalamus
3. Medulla
4. Midbrain

Correct answer: 1. Hippocampus

Explanation: Hippocampus